True about Pseudoclaudication is
1. Pain increases on walking uphill
2. Pain decreases on standing still
3. Leaning forward reduces pain
4. Pulses may be feeble or absent

Correct answer: 3. Leaning forward reduces pain

Explanation: Psedoclaudication Or Lumbar canal stenosis OPaicular dermatomal pain, associated with motor weakness, OIncreases in standing long duration and relieved by the change in positions like leaning forwards. OAlso, pain is less on walking uphill but increases on walking downhill.